Vertical talus is associated with:
1. Congenital flat foot
2. Ankle dislocation
3. Talus fracture
4. Pes cavus

Correct answer: 1. Congenital flat foot

Explanation: Ans. (a) Congenital flat footRef: Maheshwari 5th ed. / 326Congenital vertical talus (CVT) is an uncommon disorder of the foot, manifested as a rigid rocker-bottom flatfoot. Its characteristic radiographic feature is a dorsal dislocation of the navicular on the talus. If left untreated, CVT results in a painful and rigid flatfoot with weak push-off power. CVT has been referred to in the literature by several synonyms, including congenital convex pes valgus.PRESENTATION: Clinically, congenital vertical talus (CVT) presents as a rigid flatfoot with a rocker-bottom appearance of the foot. The calcaneus is in fixed equinus, and the Achilles tendon is very tight. The hindfoot is in valgus, while the head of the talus is found medially in the sole, creating the rocker-bottom appearance. The forefoot is abducted and dorsiflexed.Treatment: Serial casting should be the initial treatment, although prior to the Dobbs article, it was usually thought to be unsuccessful. A single-stage surgical correction is another option and can be accomplished via either the Cincinnati approach or the dorsal approach.